Which of the following drug is used in scabies as single oral dose agent:
1. Permethrin
2. Retinoids
3. Ivermectin
4. Co-trimoxazole

Correct answer: 3. Ivermectin

Explanation: Ans. C: Ivermectin Ivermectin is used as single oral dose of 200 microgram/ kg body weight It can be repeated after 2 weeks It is indicated in epidemics of scabies in orphanages and Norwegian scabies Scabies: Incubation period: 4 weeks Pathognomic lesion: Burrow, which lies in stratum corneum MC site in infants: Scalp, face Most severe form: Norwegian scabies Drug used orally: Ivermectin